Which of the following can infect ovary -
1. Mumps virus
2. EBV
3. CMV
4. Measles virus

Correct answer: 1. Mumps virus

Explanation: Ans. is 'a' i.e., Mumps virus o Mumps begins as a primary infection in the respiratory tract and spreads by viremia to glandular tissues including the salivary glands, pancreas, testes and ovaries.